Incubation period of HBV is:
1. 45 to 180 days
2. 6 to 60 days
3. 10 days
4. 10 hours

Correct answer: 1. 45 to 180 days

Explanation: Ans. is 'a' i.e., 45 to 180 days (Ref: Harrison, 18th/e, p. 2546; 19th/e, p. 2006) Remember:Enterically transmitted non - A, non - B (NANB) virus - HEV.Parenterally transmitted NANB - HAV.Hepatitis VirusIncubation periodHAV15 - 45 days (mean 30 days)HBV30 - 180 daysHCV15 - 160 days (mean 50 days)HDV30 - 180 daysHEV14 - 60 days (mean 40 days)